Anatomic form of roots of teeth is determined by
1. Dental lamina
2. Neural crest cells
3. Hertwig's root sheath
4. Hammock ligament

Correct answer: 3. Hertwig's root sheath